All are true about Fragile X syndrome except
1. Large head
2. Large nose
3. Large ear
4. Large testis

Correct answer: 2. Large nose

Explanation: Robbins basic pathology 9th edition page no 241 As itbis a X linked disease it dominantly affects males. Clinical manifestation includes large head, large ear, large testis etc.